Pulpal pain is most intense in
1. Acute closed pulpitis
2. Acute open pulpitis
3. Pulp hyperaemia
4. Pulp necrosis

Correct answer: 1. Acute closed pulpitis